The main clinical significance of sliding type hiatus hernia is:
1. Propensity for GERD
2. High risk of barrett's esophagus
3. High chance for dieulafoy's lesion
4. Dysphagia is common

Correct answer: 1. Propensity for GERD

Explanation: Four types of hiatus hernia are present. Type I, or sliding hiatal hernia comprising at least 95% of total. Pathology is the weakening of the phrenoesophageal ligament attaching the gastroesophageal junction to the diaphragm at the hiatus. Incidence of sliding hernias increases with Age and conceptually, results from wear and tear Intraabdominal pressure Hereditary factors The main significance of sliding hernias is the propensity of affected individuals to have GERD. Ref: Harrison, E-18, P- 2429